Based on the degree to which apical displacement of the
pulpal floor is seen, "Cynodont" is the name given to
1. Hypotaurodont
2. Mesotaurodont
3. Hypertaurodont
4. Normal tooth

Correct answer: 4. Normal tooth